In a small child diagnosed with H. influenza meningitis, what investigation must be done before discharging him from the hospital?
1. BERA
2. MBI
3. CT scan
4. X ray skull

Correct answer: 1. BERA

Explanation: Ans. (a) BERARef: OP Ghai 8th ed./619; OskisPediatrics: Principles & Practice by Julia A. McMillan